Inclusion bodies of vaccina is known as
1. Schuffner dots
2. Negri bodies
3. Asteroid bodies
4. Guarnieri bodies

Correct answer: 4. Guarnieri bodies

Explanation: vaccinia infected cells show rather small multiple inclusions known as Guarneiri bodies.